Allen's test is useful in evaluating which of the following conditions?
1. Digital blood flow
2. Presence of cervical rib
3. Integrity of palmar arch
4. Thoracic outlet compression

Correct answer: 3. Integrity of palmar arch

Explanation: Allen's test is performed to check the patency of radial and ulnar arteries at the wrist. Thus this test is useful in evaluating the integrity of the palmar arch. In this test, the examiner compresses both the radial and ulnar arteries at the wrist and then asks the patient to flex and extend the fingers repetitively. After the hand blanches, pressure is released from the radial artery while compression is maintained on the ulnar artery. The examiner observes how long it takes for each of the fingers to regain its pink color. The test is then repeated for the other artery. Return of the normal pink colour within 5 seconds indicate normal distal artery circulation. Ref: Bailey and Love Short Practice of Surgery, 25th Edition, Pages 504-05; CURRENT Diagnosis and Treatment in Orthopedics, 4th Edition, Chapter 10; CURRENT Medical Diagnosis and Treatment, 2012, Chapter 24.